Quantitative data can be compared by?
1. Pictograph
2. Histogram
3. Pie chart
4. Spot Map

Correct answer: 2. Histogram

Explanation: Ref: Parks 23rd edition 844 Data representation: Quantitative: Histogram Frequency polygon Frequency curve Scatter diagram Line diagram Qualitative: Pie chart Bar chart Pictogram